Facial nerve does not supply which structure of theface:
1. Auricular muscle
2. Posterior belly of diagastric muscle
3. Parotid gland
4. Submandibular gland

Correct answer: 3. Parotid gland

Explanation: Parotid gland